Which of the following is false regarding dimorphic fungi -
1. Occurs in two growth forms
2. Can cause systemic infection
3. Cryptococcus is an example
4. Coccidioides is an example

Correct answer: 3. Cryptococcus is an example

Explanation: Dimorphic fungi: They exist as molds (hyphal form) in the environment at ambient temperature (25degC) and as yeasts in human tissues at body temperature (37degC). Examples include: Histoplasma capsulatum, Blastomyces dermatitidis, Coccidioides, Paracoccidioides,Penicillium marneffei and Sporothrix schenckii. Systemic mycoses are caused by fungi of soil, which are inherently virulent and cause disease in healthy humans. The systemic mycoses include coccidioidomycosis, paracoccidioidomycosis, histoplasmosis, blastomycosis, and cryptococcosis. Most fungi causing systemic infections are dimorphic fungi. Cryptococcus is a true yeast.